Vaccines are sterilised by -
1. Seitz filtration
2. Hot air oven
3. Autoclaving
4. Heat inactivation

Correct answer: 4. Heat inactivation

Explanation: Ans. is 'd' i.e., Heat inactivation . Vaccines of nonsporing bacteria are heat inactivated in special vaccine bath at 60degC for one hour.